Design of the study aimed to assess the maximum tolerable dose of a new drug is?
1. Case Control study
2. Phase II Randomized control trial (RCT)
3. Phase I trial
4. Phase III Randomized control trial (RCT)

Correct answer: 3. Phase I trial

Explanation: The highest dose of a drug that does not cause unacceptable side effects. It is determined in phase 1 clinical trials by testing increasing doses on different groups of people until the highest dose with acceptable side effects is found. Also called MTD. Pg.no.80 K D Tripathi Seventh edition